Terminal branch of basilar artery is:
1. Anterior cerebral artery
2. Middle cerebral artey
3. Posterior cerebral artery
4. None of the above

Correct answer: 3. Posterior cerebral artery

Explanation: The posterior cerebral artery is a terminal branch of the basilar artery.Ref: Gray's anatomy 40th edition, Chapter 17.